Pott puffy tumour occurs as complication of which sinusitis:
1. Frontal
2. Sphenoid
3. Ethmoid
4. None of the above

Correct answer: 1. Frontal

Explanation: If infection in the frontal sinus spreads to the marrow of the frontal bone, localized osteomyelitis with bone destruction can result in a doughy swelling of the forehead classically described as Pott puffy tumour.